Cyanosis is not seen in
1. CHF
2. COPD
3. CO poisoning
4. High altitude

Correct answer: 3. CO poisoning

Explanation: Cyanosis is a bluish discoloration of the skin and mucous membranes resulting from inadequate oxygenation of the blood and not seen in CO poisoningRef: Hutchison's Clinical Methods, 23ed edition, page no: 21